Radioisotope scan used for diagnosing ectopic gastric mucosa in Meckel's diverticulum:
1. Gallium citrate
2. Thallium
3. Selenium
4. Technetium-99 pertechnate

Correct answer: 4. Technetium-99 pertechnate

Explanation: Ans: D i.e. Tecnetium-99 pertechnate Uses of radioisotopes Gallium citrate is useful for tumours/abscess Thallium scan is used to study myocardial perfusion Selenium is useful in thyroid malignancy For detection of ectopic gastric mucosa in Meckel's diveculum, Tc-99 pertechnate is used Uses of radiotherapy Hot spot in MI is detected by: Technetium scan Pancreatic scanning is done by: Selenium 75 Scan used for parathyroid gland: Sestamibi scan Scan for measurement of renal GFR: Tc99-DTPA scan Vesicourethral reflex (VUR) is seen by: MAG3-tc99 scan Isotope used in thyroid scan: 1-131 99Tc scan shows hot spot in: Adenolymphoma (Salivary gland tumour) PACS/ picture archiving and communication system: New system (completely computerized network) to replace conventional analogue film and paper clinical request forms and reports Brachytherapy: Radiation therapy in which sources are placed within or near tumour for therapy Gamma knife (using gamma rays) is used in: Stereotactic surgery (cuts tumour in different location/ 3D) Mantle irradiation is done in: Hodgkin's disease Hyper-fractionation radiotherapy is used to treat: Lung cancer Intra-operative radiotherapy is used to treat: Pancreatic Ca Emergency radiotherapy is given in: -- SVC syndrome, -- Pericardial tamponade RAID/ (RadioActive Iodine Uptake test) is done mostly using: 1-123 Photodynamic therapy with hemato-porphyrins and light is used in the treatment of: -- Colon Ca, -- Skin Ca